Luftsichel sign is seen in
1. Right upper lobe collapse
2. Right middle lobe collapse
3. Left upper lobe collapse
4. Left lower lobe collapse

Correct answer: 3. Left upper lobe collapse

Explanation: Luftsichel sign is a sickle shaped lucency of air seen On Chest Radiographs, Seen in Left Upper lobe collapse with Compensatory Left Lower lobe hyperinflation.